During nutritional assessment of a surgical patient, the status of muscle protein is indicatedby which one of the following parameters ?
1. Serum albumin
2. Triceps skinfold thickness
3. Mid-arm circumference
4. Hb level

Correct answer: 3. Mid-arm circumference

Explanation: Ans. is 'c' i.e., Mid - arm circumference